The following is an important indicator to measure the incidence of malaria in a community
1. Slide positivity rate
2. Annual falciparum incidence
3. Annual parasite incidence
4. Infant parasite rate

Correct answer: 3. Annual parasite incidence

Explanation: Annual Parasite Incidence (API) Sophisticated measure of malaria incidence in a community API = Confirmed cases during one year/population under surveillancex1000 Ref: Park 25th edition Pgno : 286